Drug of choice for drug induced Parkinsonism is
1. Levodopa
2. Benserazide
3. Benzhexol
4. Selegiline

Correct answer: 3. Benzhexol

Explanation: Condition Drug DOC for Parkinsonism Pramipexole/Ropinirole DOC for Drug induced Parkinsonism Benzhexol (Trihexiphenidyl) Most effective drug for Parkinsonism Levo-dopa + Carbidopa Gold standard drug for Parkinsonism Levo-dopa + Carbidopa Disease modifying drug in Parkinsonism Selegiline